Infants of diabetic pregnancies may have hypertrophic cardiomyopathy that occasionally progresses to congestive heart failure. Cardiomyopathy generally disappears by
1. 1 months of age
2. 3 months of age
3. 6 months of age
4. 12 months of age

Correct answer: 3. 6 months of age

Explanation: Cardiac Hypertrophy - Infants of diabetic pregnancies may have hypertrophic cardiomyopathy that occasionally progresses to congestive heart failure. - These infants typically have macrosomia, and fetal hyperinsulinemia has been implicated in the pathogenesis of heart disease. - The cardiomyopathy generally disappears by 6 months of age.